Trendelenburg test is done for:
1. Gluteus medius, minimus
2. Gluteus maximus, minimus
3. Gluteus maximus, medius
4. Gluteus maximus, medius, minimus

Correct answer: 1. Gluteus medius, minimus

Explanation: Ans. (a) Gluteus medius, minimusRef : BDC 6th ed. vol. II / 69-70; Keith L. Moore 5th ed. /619-621* Trendelenburg's sign is found in people with weak or paralyzed abductor muscles of the hip, namely gluteus medius and gluteus minimus.* Superior gluteal nerve, if injured, paralyses the 3 muscles: gluteus medius, gluteus minimus and tensor fascia latae and hence lead to positive Trendelenberg test.* These 3 muscles, especially the gluteus medius raises the unsupported hip during walking, which otherwise will be pulled down by the gravity.* In Trendelenberg test this action of gluteus medius (superior pelvic tilt of contralateral hip) is absent and we actually observe that there is a downward drop of the unsupported hip- due to unopposed action of gravity.* This leads to Lurching gait in the patient.Also Know* Trendelenburg test becomes positive inp congenital dislocation of hip/ long standing fracture of neck of femur.* Inferior gluteal nerve supplies gluteus maximus.